Frie test is done in –
1. Donovanosis
2. LGV
3. Syphillis
4. Leprosy

Correct answer: 2. LGV

Explanation: Frie's test is an obsolete intradermal test for LGV.